In testicular tumours
1. Only 10% are malignant
2. Maldescent of testes leads to malignancy
3. Extremely painful
4. Excoriation of the superficial skin

Correct answer: 2. Maldescent of testes leads to malignancy

Explanation: (Maldescent of testis leads to malignancy) (1411-LB) (1385-B & L 25th)Tumours of the Testes* About 99% of testicular neoplasm are malignant and although they make up only about 1 -2% of malignant tumours (MC tumours in young males)* **Maldescent undoubtedly predisposes to malignancy.* Tumours of testis = Seminoma (40%) Teratoma (32%) combined (14%) interstitial tumours (1.5%) lymphoma (71%).* Malignant teratoma intermediate teratocarcinoma is the most common histologic variants of teratoma.* Clinical features(i) First noticing that he has a testicular lump. A sensation of heaviness.(ii) Only 30% of patients experience pain (Normally painless)(iii) There is a history of trauma to the affected side in over 10%(iv) 10% of patients have lax secondary hydroceleEssentials of Diagnosis (1070-CSDT 11th)* Painless firm mass within the testicle in a man aged 18-40* Elevated serum levels of the beta subunit of(i) Human chorionic gonadotropin (P-hCG) (ii) Alpha fetoprotein (AFP) (iii) Lactic dehydrogenase (LDH) or all three* Enlarged retroperitoneal nodes on abdominal CT scan* Palpable abdominal mass in advanced cases.